Which of the following drug is to be discontinued on the day of surgery -
1. Atenolol
2. Amlodipine
3. Metformin
4. Statin

Correct answer: 3. Metformin

Explanation: Ans. is 'C' i.e., Metformin o Metformin needs to be stopped at least 48 hours before surgery for the fear of lactic acidosis. o Other drugs that need to be discontinued before surgery. o OCP ---> 4 weeks before surgery o Irreversible MAO inhibitor ----> 2 weeks before surgery. o Reversible MAO inhibitor --> A day before surgery. o Lithium ---> 2 days before surgery.